Cyst coming from an unerupted tooth is
1. Dentigerous cyst
2. Odontogenic keratocysts
3. Radicular cyst
4. Gorlin cysts

Correct answer: 1. Dentigerous cyst

Explanation: Ans. (a) Dentigerous cystRef: Radiopedia.org. Prof Gaillard et al.DENTAL CYST (Radicular or periodontal cyst or Periapical cyst)DENTIGEROUS CYST (Follicular odontoma or Follicular cysts)Most common Odontogenic cyst2nd MC odontogenic CystDevelops at the apex of chronically infected tooth with necrotic pulp'(root of normally erupted tooth)Associated with unerupted permanent toothLined by stratified squamous epitheliumLined by non-keratinizing squamous epitheliumMost common in middle ageMost common in 2nd or 3rd decadeMost common in upper jawMost common in Lower third Molar tooth (Mandible 3rd molar)2nd MC - Maxillary 3rd molar (upper)